The flea-bitten kidney is seen in all except -
1. SABE
2. Malignant hypertension
3. Hemolytic Uraemic syndrome
4. Diabetic nephropathy

Correct answer: 4. Diabetic nephropathy